Fresh frozen plasma is used for:
1. Deficiency of coagulation factor
2. Deficiency of RBC
3. Deficiency of proteins
4. Deficiency of WBC

Correct answer: 1. Deficiency of coagulation factor

Explanation: Ans. A: Deficiency of Coagulation Factor Fresh frozen plasma is indicated for replacement of coagulation factor deficiency and in TTP Fresh frozen plasma: Indications generally are limited to the treatment of deficiencies of coagulation proteins for which specific factor concentrates are unavailable or undesirable. In many clinical practices, fresh and frozen plasma contains proteins with two important coagulation factors in it - the V and the VIII. Other documentations indicate FFP has no enough beneficial effect when it's used as a transfusion to stop massive hemorrhage